A patient is undergoing abdominal surgery , which of the following drug can safely be stopped before surgery:
1. Steroids
2. ACE inhibitors.
3. Beta-blockers.
4. None

Correct answer: 2. ACE inhibitors.

Explanation: All antihypertensives should be continued in the preoperative period except ACE inhibitors, Angiotensin receptor blocker, diuretics.